Which of the following is Virus-induced epithelial hyperplasia:
1. Molluscum contagiosum
2. Focal epithelial hyperplasia
3. Squamous papilloma
4. All of the above

Correct answer: 4. All of the above